Raspberry tongue is seen in
1. Scarlet fever
2. Vitiligo
3. Vitamin B12 deficiency
4. Impetigo

Correct answer: 1. Scarlet fever